Bradycardia is a feature of?
1. Inferior wall MI
2. Antro septal
3. Lateral wall MI
4. Posterior wall MI

Correct answer: 1. Inferior wall MI

Explanation: Pathological cause of sinus bradycardia is acute myocardial infarction. Sinus bradycardia is particularly associated with inferior myocardial infarction as RCA supplies SAN and AVN.